Posterior chamber contains:
1. Retinal vessels
2. Aqueous humour
3. Vitreous humour
4. All

Correct answer: 2. Aqueous humour

Explanation: BOTH AC AND PC CONTAINS AQUEOUS HUMOR Posterior chamber(PC) - space between posterior surface of iris & anterior surface of lens. Posterior chamber contain aqueous humor Posterior segment contain vitreous humor